Residual ridge resorption is:
1. Directly proportional to the anatomic factor.
2. Indirectly proportional to the force.
3. Directly proportional to the damping effect.
4. Directly proportional to the bone-forming factors.

Correct answer: 1. Directly proportional to the anatomic factor.